Hydatid disease of liver is caused by -a) Strongloidesb) Echinococcus granulosusc) Taenia soliumd) Trichinella spiralise) Echinococcus multilocularis
1. ab
2. be
3. bc
4. ce

Correct answer: 2. be

Explanation: Hydatid disease:

Echinococcus granulosus: Causes Hydatid disease—Hepatomegaly (60—70% of cases), then lungs
E. multilocularis: Causes Alveolar Hydatid disease (90%-liver involvement)
E. oligarthrus and E.vogeli: Causes Polycystic Hydatid disease.